P. carinii causes infection of primarily -
1. Rats
2. Mice
3. Humans
4. Rabbits

Correct answer: 1. Rats